USG liver shows starry sky appearance. This is a feature of?
1. Acute viral hepatitis
2. Primary biliary cirrhosis
3. Primary sclerosing cholangitis
4. Hydatid cyst

Correct answer: 1. Acute viral hepatitis

Explanation: Explanation- Starry sky appearance seen in * NCCT Head = NCC * USG Liver = Viral hepatitis (Acute) * Kidney Biopsy finding= PSGN * LN Biopsy = Burkitt lymphoma Note Burkitt lymphoma- c-myc gene involved